Which of the following fatty acids is produced by fermentation of dietary fiber by colonic flora?
1. Palmitate
2. Butyrate
3. Oleate
4. Linoleate

Correct answer: 2. Butyrate

Explanation: Starch and non-starch polysaccharides are substrates for bacterial fermentation in the large intestine. They produce butyrate and other short chain fatty acids. These fatty acids are a significant source of fuel for intestinal enterocytes. There is evidence that butyrate also has antiproliferative activity, and so provides protection against colorectal cancer.